LSD was introducd by
1. albert hoffman
2. delay and deniker
3. John F Cade
4. Egaz Moniz

Correct answer: 1. albert hoffman

Explanation: Hallucinogens * ALSO CALLED AS Psychotomimetic/ Psychedelic * FIRST Man made HALLICINOGEN ==================== Albert Hoffman * MECHANISM OF ACTION Lysergic acid diethylamide=======serotonin * Introduced by Albert Hoffmann and he himself experienced its effects * Phencyclidine =======NMDA antagonist * Also known as angel dust * Related to ketamine=== dissociative anesthetic * Has anti-suicidal property Ref.Kaplon and Sadock, synopsis of psychiatry, 11 th edition, pg no.649